True about color blindness -a) Age relatedb) Hereditaryc) Males onlyd) Female onlye) Can be treated
1. ac
2. a
3. ad
4. ab

Correct answer: 4. ab

Explanation: Colour blindness is mostly hereditary. However, one type of acquired colour blindness may be age related, i.e., Acquired blue colour defect (blue blindness). It occurs in old age due to increased sclerosis of the crystalline lens. It is owing to the physical absorption of the blue rays by the increased amber coloured pigment in the nucleus.
Colour blindness is more common in males (3-4%) than in females (0.4%). However, it can occur in both.
Currently, there is no treatment for colour blindness.